In Alzheimer's disease which area of brain in involved-
1. Cerebral cortex
2. Hippocampus
3. Cerebellum
4. A + B

Correct answer: 4. A + B